A 28 years old male, who was known case of mitral valvular heart disease developed weakness on right side of body which gradually recovered completely over a period of 2 weeks. Blood pressure of the patient was normal and laboratory studies did not reveal any significant abnormality What Is the diagnosis?
1. TIA
2. Ischemic stroke
3. Hemorrhagic stroke
4. Cerebral salt wasting syndrome

Correct answer: 2. Ischemic stroke

Explanation: Ischemic stroke occurs when a blood clot blocks or plugs an artery leading to the brain. A blood clot often forms in arteries damaged by the buildup of plaques (atherosclerosis). It can occur in the carotid artery of the neck as well as other arteries. Ref Harrison20th edition pg 2433